Delta sign on CT head is seen in:
1. Infarct
2. Superior saggital sinus thrombosis
3. SAH
4. EDH

Correct answer: 2. Superior saggital sinus thrombosis

Explanation: Ans. Superior saggital sinus thrombosis